Which epidemkiological study gives the most accurate result -
1. Meta analysis
2. Cross sectional study
3. Randomized control trail with double blinding
4. Cohort study

Correct answer: 1. Meta analysis

Explanation: A meta-analysis is a statistical analysis that combines the results of multiple scientific studies. Conceptually, a meta-analysis uses a statistical approach to combine the results from multiple studies in an effort to increase accuracy (over individual studies), improve estimates of the size of the effect and/or to resolve uncertainty when reports disagree.